Fresh bleaching powder contains
1. 0.33% chlorine
2. 3.3% chlorine
3. 33% chlorine
4. 0.033% chlorine

Correct answer: 3. 33% chlorine